Life cycle of filarial in the mosquito is described as
1. Cyclodevelopmental
2. Cyclopropagative
3. Propagative
4. None

Correct answer: 1. Cyclodevelopmental